Type of melanoma associated with a fibrotic response, neural invasion, and a greater tendency for local recurrence?
1. Superficial spreading
2. Desmoplastic
3. Lentigo maligna
4. Acral lentiginous

Correct answer: 2. Desmoplastic

Explanation: Desmoplastic melanomais associated with fibrotic response, neural invasion, and a greater tendency for local recurrence. Superficial spreading melanoma(SSM) is most commonly associated with pre-existing nevi. Lentigo maligna melanoma usually is confined to chronically sun-damaged sites in older individuals. Acral lentiginous melanoma occurs on the palms, soles, nail beds, and mucous membranes